"HMB 45" is a marker for:
1. Sarcoma
2. Melanoma
3. Carcinoma
4. None of the above

Correct answer: 2. Melanoma

Explanation: Melanoma